Low air velocity is measured by
1. Dry bulb thermometric
2. Bilvered thermometer
3. Kata thermometer
4. Globe thermometer

Correct answer: 3. Kata thermometer